Features of laryngeal Ca -a) Glottis is the MC siteb) Commonly metastasizes to cervical lymphnodec) Lesions seen at the edge of the vocal cordd) Laryngeal compartments acts as barrier
1. abc
2. acd
3. bcd
4. All of the above

Correct answer: 4. All of the above

Explanation: As discussed previously, larynx is divided into supraglottic, glottic and subglottic regions for the purpose of anatomical classification of carcinoma of larynx.
It is an important division and is based on lymphatic drainage.
The area above the vocal cords i.e. supraglottis drains upwards via the superior lymphatics to upper deep cervical group of lymphnodes.
Vocal cords, i:e glottis has practically no lymphatics so, it acts as a watershed.
The area below the glottis, (subglottis) drain to prelaryngeal and paratracheal glands and then to lower deep cervical nodes.

Hence option b and d are both correct